The gene for apoptosis is -
1. BCI-2
2. BRAC
3. RET
4. All

Correct answer: 1. BCI-2

Explanation: Ans. is 'a' i.e., BCL -2